The commonest cause of primary hyperparathyroidism is-
1. Carcinoma parathyroid
2. Solitary adenoma of parathyroid
3. Chronic renal failure
4. Hyperplasia of the parathyroid

Correct answer: 2. Solitary adenoma of parathyroid

Explanation: solitary adenoma ie a single abnormal gland is the cause in 80% of patients ( Harrison 17 pg 2380)